Which of the following is not useful in chronic open angle glaucoma:
1. Prostagladin analogue
2. Pilocarpine
3. Homatropine
4. Timolol

Correct answer: 3. Homatropine

Explanation: Ans. C: Homatropine Medical therapy for primary open angle glaucoma includes: 1st line-Beta blockers (timolol), brimonidine, prostaglandin analogues; Adjunctive-Dipivefrine, dorzolamide, pilocarpine